Confocal scanning laser ophthalmoscope uses
1. Infrared laser
2. Diode laser
3. Excimer laser
4. YAG laser

Correct answer: 2. Diode laser

Explanation: Confocal scanning laser ophthalmoscope It is an instrument using a confocal laser system to provide and analyze a three-dimensional image of the optic nerve head, peripapillary retina, and macular region It uses a 670 nm diode laser and measures the amount of light reflected from a series of 16-64 sections in depth and reconstructs them to show the anatomy of the optic nerve head and reconstruct the anatomy of the retinal nerve fiber layer. Refer: AK Khurana Comprehensive Ophthalmology, 6th edition, pg no. 461 - 462